Indications for use of Anticholinergics include all, Except:
1. Glaucoma
2. Parkinsonism
3. Refraction testing
4. Organophosphorus poisoning

Correct answer: 1. Glaucoma

Explanation: Glaucoma